During M.O.D. preparation one of the cusps is under mined, indicated treatment is
1. Reduction of cusp and include in the preparation for onlay
2. Reduction of all the cusps and crown is indicated
3. Strengthened by use of Amalgam core
4. Cusp is beveled and the patient is advised not to exert force on the cusp

Correct answer: 1. Reduction of cusp and include in the preparation for onlay